During which phase of the human sexual response cycle is it physiologically impossible for males to achieve erection or orgasm?
1. Excitement Phase
2. Plateau Phase
3. Orgasm
4. Resolution

Correct answer: 4. Resolution

Explanation: During the resolution phase, a generalized and muscular relaxing physiologically prohibits males from being able to achieve erection or orgasm. The excitement phase is where males and females physiologically prepare for intercourse. The male achieves erection, and the female's vagina lubricates and her external genitalia become engorged. The orgasmic phase is the peaking of sexual pleasure and a release of sexual tension. Appetitive is the first phase of the sexual response cycle and involves fantasies and desires about sex. Plateau is not a phase in the sexual response cycle. Ref: Hoffman B.L., Schorge J.O., Schaffer J.I., Halvorson L.M., Bradshaw K.D., Cunningham F.G., Calver L.E. (2012). Chapter 13. Psychosocial Issues and Female Sexuality. In B.L. Hoffman, J.O. Schorge, J.I. Schaffer, L.M. Halvorson, K.D. Bradshaw, F.G. Cunningham, L.E. Calver (Eds), Williams Gynecology, 2e.